Sensory nerve supply of the palatine tonsils is by
1. Greater Palatine nerve
2. Trigeminal nerve
3. Glossopharyngeal nerve
4. Facial nerve

Correct answer: 3. Glossopharyngeal nerve

Explanation: Glossopharyngeal and lesser palatine nerves supply palatine tonsilPalatine tonsilThe Palatine tonsils are two prominent masses situated one on either side between the glossopalatine and pharyngopalatine arches.Each tonsil consists fundamentally of an aggregation of lymphoid tissue underlying the mucous membrane between the palatine arches.In the child the tonsils are relatively (and frequently absolutely) larger than in the adultThe follicles of the tonsil are lined by a continuation of the mucous membrane of the pharynx, covered with stratified squamous epitheliumAeries supplying the tonsil are the:Dorsalis linguae from the lingualThe ascending palatine and tonsillar from the external maxillaryThe ascending pharyngeal from the external carotidThe descending palatine branch of the internal maxillaryA twig from the small meningeal.The veins end in the tonsillar plexus, on the lateral side of the tonsilThe nerves are derived from the sphenopalatine ganglion, and from the glossopharyngeal.